Inorganic content of cementum is
1. 45 to 50%
2. 50 to 55%
3. 55 to 60%
4. 60 to 65%

Correct answer: 1. 45 to 50%